Which of the following diseases have incubation period <10 days -
1. Cholera
2. Influenza
3. Plague
4. All

Correct answer: 4. All

Explanation: Ans. is 'a' i.e., Cholera; 'b' i.e., Influenza & 'c' i.e., Plague